In which of the following condition local excision in rectal carcinoma can not be done?
1. Within 10 cm of the dentate line
2. Lesion 2.7 cm
3. Involvement of <30% bowel circumference
4. T1 and T2 cancer with lymph node involvement

Correct answer: 4. T1 and T2 cancer with lymph node involvement

Explanation: Suggested criteria for local excision in rectal cancer: Physical examination Imaging Histology Tumor <3 cm Tumor <30% of bowel circumference Tumor within 15 cm of dentate line Tumor freely mobile Tumor limited to submucosa (T1) No lymph node involvement (N0) Well to moderately differentiated Absence of lymphovascular invasion or perineural invasion No mucinous or signet cell component